Number of permanent teeth at 8 years:
1. 6
2. 8
3. 12
4. 16

Correct answer: 3. 12

Explanation: Ans. 12